All of the following are the principles of primary health care except -
1. Social equity
2. Intersectoral coordination
3. Specialty services
4. Community paicpation

Correct answer: 3. Specialty services

Explanation: principles of primary health care Equitable distribution Community participation Intersectoral coordination Appropriate technology (refer pgno:892 park 23rd edition)